In SAFE strategy, A stands for:
1. Autoclaving
2. Assessment of ocular complications
3. Antibiotics
4. Antiallergics

Correct answer: 3. Antibiotics

Explanation: Ans. C i.e. Antibiotics